High risk lesions for Infective Endocarditis are all except:-
1. Prosthetic heart valves
2. Prior history of infective endocarditis
3. Aortic regurgitation
4. Complex cyanotic congenital heart disease

Correct answer: 3. Aortic regurgitation

Explanation: High risk lesions for IE requiring antibiotic prophylaxis for surgical procedures:- 
i. Prosthetic heart valves.
ii. Prior endocarditis.
iii. Unrepaired cyanotic congenital heart disease(CCHD).
iv. Completely repaired CCHD during the 6 months after repair.
v. Incompletely repaired CCHD with residual defects - Valvulopathy developing after cardiac transplantation.